Commonest histological type of carcinoma testis is -
1. Teratoma
2. Yolk sac tumor
3. Seminoma
4. Choriocarcinoma

Correct answer: 3. Seminoma

Explanation: Tumors of the testis are a heterogeneous group of neoplasms that include germ cell tumors and sex cord stromal tumors. 
In postpubertal males, 95% of testicular tumors arise from germ cells, and all are malignant